Alvarado score is used in the diagnosis of
1. Diverticulitis
2. Liver failure
3. Chronic hepatitis
4. Acute appendicitis

Correct answer: 4. Acute appendicitis

Explanation: The most widely used is the Alvarado score A score of 7 or more is strongly predictive of acute appendicitis. The Alvarado (MANTRELS) score Symptoms Score Migratory RIF pain 1 Anorexia 1 Nausea and vomiting 1 Signs Tenderness (RIF) 2 Rebound tenderness 1 Elevated temperature 1 Laboratory Leucocytosis 2 Shift to left 1 Total 10 Ref: Bailey & Love's Short Practice of Surgery,E25,Page-1211